Fencing attiude of the dead bodies is caused by ?
1. Ciagulation of proteins
2. Emulsification of fact
3. Exposure to excess cold
4. Electric shock

Correct answer: 1. Ciagulation of proteins

Explanation: Ans. is 'a' i.e., Coagulation of proteins Pugilistic attitude(boxing/fencing/defence attitude) It is heat stiffening caused by denaturation and coagulation of proteins. It is indicative of exposure to intense heat. There is flexion at all joints and ?clawing of fingers. This phenomenon occurs both in antemortem and postmortem burns.